Standard views for mammography are:
1. AP and Lateral
2. AP and Medio-lateral oblique
3. Cranio-caudal and Medio-lateral view
4. Cranio-caudal and Medio-lateral oblique

Correct answer: 4. Cranio-caudal and Medio-lateral oblique

Explanation: The two standard mammographic projections are:
A mediolateral oblique (MLO) view and a craniocaudal (CC) view.
The MLO is taken with the X-ray beam directed from superomedial to inferolateral, usually at an angle of 30°-60°.
The MLO projection is the only projection in which all the breast tissue can be demonstrated in a single image.
In CC view, the X-ray beam travels from superior to inferior. Positioning is achieved by pulling the breast up and forward away from the chest wall, with compression applied from above.